Acute bacterial pyogenic infection manifests as:
1. Leukopenia
2. Leukocytosis
3. Neutropeni
4. Lymphopenia

Correct answer: 2. Leukocytosis